Exclusive breastfeeding is at least until –
1. 4 month
2. 6 month
3. 8 month
4. 10 month

Correct answer: 2. 6 month

Explanation: Exclusive breastfeeding: The baby should be given only breast Milk and nothing else (not even water) for the first 6 months of life. Weaning should be started by 6 months of age with semisolid food, in addition to continuing breastfeeding.
The WHO recommends exclusive breastfeeding for the first six months of life and then breastfeeding up to two years or more. ___ Internet
Complementary feeding means giving the child other nutritious foods in addition to breast milk. Breastfeeding is sufficient food for the first 6 months. Thereafter, concentrated energy-dense complementary foods are essential in order to maintain an adequate velocity of growth for the infant.